True about campylobacter:
1. Polar flagella
2. Grows at 25degC
3. Strict aerobe
4. Psychrophilic

Correct answer: 1. Polar flagella

Explanation: Ans. is. 'a' i. e., Polar flagella